How is posterior chamber examined in mature cataract?
1. Laser interferometry
2. Optical coherence tomography
3. B Scan
4. A scan

Correct answer: 3. B Scan

Explanation: Ans. (c) B ScanRef: Kanski 7/e, chapter 9, Textbook of ophthalmology by H. V. nema, p 525